Large PDA (Patent ductus arteriosus) leads to?
1. Endocardial valvulitis
2. Eisenmenger syndrome
3. CHF
4. All of above

Correct answer: 4. All of above

Explanation: Ans. is 'd' i.e., All of above o Endocardial valvulitis (infective endocarditis), CHF and Eisenmenger syndrome, all can develop in PDA.